Which of the following is a main ingredient of denture cleaning powder or tablets?
1. Hydrogen peroxide
2. Detergents
3. Sodium perborate
4. Alkaline compounds

Correct answer: 3. Sodium perborate

Explanation: All the denture cleansing powders and tablets contain detergent, flavouring agent, alkaline compounds and sodium perborate. The main component is sodium perborate. It decomposes in water to form a peroxide solution which inturn breaks down to liberate oxygen. These oxygen bubbles are the ones that remove the debri on the denture surface.
Phillip’s 12th edition page 494